An 18 year old boy presents with digital gangrene In third and fourth fingers for last 2 weeks. On examination the blood pressure is 170/110 mm of Hg and all peripheral pulses were palpable. Blood and urine examinations were unremarkable. Antinuclear antibodies, antibody to double stranded DNA and antineutrophil cytoplasmic antibody were negative. The most likely diagnosis is:
1. Wegener's granulomatosis
2. Polyarteritis nodosa
3. Takayasu's arteritis
4. Systemic lupus erythematosus (SLE)

Correct answer: 2. Polyarteritis nodosa

Explanation: Polyarteritis nodosa was described in 1866 by Kussmaul and Maier.It is a multisystem, necrotizing vasculitis of small- and medium-sizedmuscular arteries in which involvement of the renal and visceral arteries is characteristic. Polyarteritis nodosa does not involve pulmonaryarteries, although bronchial vessels may be involved; granulomas, significant eosinophilia, and an allergic diathesis are not observed . Clinical features Nonspecific signs and symptoms are the hallmarks of polyarteritis nodosa. Fever, weight loss, and malaise are present in over one-halfof cases. Patients usually present with vague symptoms such as weakness, malaise, headache, abdominal pain, and myalgias that can rapidlyprogress to a fulminant illness. Specific complaints related to the vascular involvement within a particular organ system may also dominatethe presenting clinical picture as well as the entire course of the illness. In polyarteritis nodosa, renal involvement most commonly manifests as hypertension, renal insufficiency, or hemorrhagedue to microaneurysms. There are no diagnostic serologic tests for polyarteritis nodosa. In>75% of patients, the leukocyte count is elevated with a predominanceof neutrophils. Eosinophilia is seen only rarely and, when present athigh levels, suggests the diagnosis of eosinophilic granulomatosis withpolyangiitis (Churg-Strauss). The anemia of chronic disease may beseen, and an elevated ESR is almost always present. Other commonlaboratory findings reflect the particular organ involved. Hypergammaglobulinemia may be present, and all patients should be screened forhepatitis B and C. Antibodies against myeloperoxidase or proteinase-3(ANCA) are rarely found in patients with polyarteritis nodosa. Ref harrisons 20e p2583